DOC in acute anterior uveitis is ?
1. Atropine
2. Topical steroid
3. Systemic steroid
4. NSAID

Correct answer: 2. Topical steroid

Explanation: Ans. is 'b' i.e., Topical steroid